Nodular bronchiectasis in seen in
1. Allergic bronchopulmonary aspergillosis
2. infection with Mycobacterium tuberculosis
3. Infection with Pseudomonas aeruginosa
4. Infection with Mycobacterium avium complex

Correct answer: 4. Infection with Mycobacterium avium complex

Explanation: Ref:Harrison's medicine-18th edition,page no:1369.